Graph showing relation between two variables is a
1. Frequency polygram
2. Histogram
3. Scatter diagram
4. Pictogram

Correct answer: 3. Scatter diagram

Explanation: Scatter diagram is a graph in which the values of two variables are plotted along two axes, the pattern of the resulting points revealing any correlation present. Ref : Park 23rd edition Pgno : 846